In patient with tongue tie condition, which major connector is used?
1. Lingual bar
2. Cingulum bar
3. Lingual plate
4. Cingulum plate

Correct answer: 3. Lingual plate

Explanation: McCracken quotes that use of lingual plate in place of lingual bar, while patient is having tongue tie condition.